PIH can be prevented by
1. Polyhydramnios
2. Diabetes mellitus
3. Twin pregnancy
4. Smoking

Correct answer: 4. Smoking

Explanation: Smoking is the only environmental factor that reduces the risk of pre-eclampsia Smoking during pregnancy has adverse effects on other organs It may have effects on angiogenic factors, endothelial function and immune system reducing the risk of pre-eclampsia. Ref: Internet sources.